Proteins are linear polymers of amino acids. They
fold into compact structures. Sometimes, these folded structures associate to form homo-or heterodimers. Which one of the following refers to this associated form?
1. Denatured state
2. Molecular aggregation
3. Precipitation
4. Quaternary structure

Correct answer: 4. Quaternary structure